Which of the following is not included under AYUSH:
1. Naturopathy
2. Acupuncture
3. Unani
4. Homeopathy

Correct answer: 2. Acupuncture

Explanation: AYUSH includes Ayurveda, Yoga, Unani, Sidha, Homeopathy, Naturopathy. Ref:Textbook of community medicine, S. Lal, 3rd edition pg: 644.